Roll back Malaria program is -
1. Encourage the development of more effective and new anti malarial drugs and vaccines
2. Encourage the proper and expanded use of insecticide treated mosquito nets
3. Training of villages health workers and mother on early and appropriate treatment of malaria
4. All of the above

Correct answer: 4. All of the above

Explanation: Roll back malaria Roll Back malaria include, strategic Encourage the development of more effective and new anti malarial drugs and vaccines, Training of villages health workers and mother on early and appropriate treatment of malaria,Encourage the proper and expanded use of insecticide treated mosquito nets. REF. PARK'S TEXTBOOK OF PREVENTIVE AND SOCIAL MEDICINE 21ST EDITION. - 243